The prostatic growth in benign prostatic hypertrophy is due to-
1. Testosterone
2. 17 estradiol
3. Dihydrotestosterone
4. Oestrogen

Correct answer: 3. Dihydrotestosterone

Explanation: Dihydrotestosterone (DHT), a metabolite of testosterone, is the ultimate mediator for prostatic growth.